Percentage of complete moles progressing to persistent GTN:
1. 1-4 %
2. 4-8%
3. 8-12%
4. 15-20%

Correct answer: 4. 15-20%

Explanation: About 15-20% of complete moles progress to persistent GTN Reference:DC Dutta's textbook of obstetrics,8th edition,page no:231